One of the drug is beta lactamase inhibitor:
1. Ampicillin
2. Sulbactum
3. Cloxacillin
4. Pencillin G

Correct answer: 2. Sulbactum